Which of the following fracture is known as "fracture a-la signature"?
1. A depressed fracture
2. A fissured fracture
3. Separation of the suture
4. A ring fracture

Correct answer: 1. A depressed fracture

Explanation: Depressed fractures are produced by local deformation of the skull. In this, fractured bone is driven inwards into the skull cavity. The outer table is driven into the diploe, the inner table is fractured irregularly and to a greater extent and may be comminuted. They are also called 'fractures a la signature' (signature fractures), as their pattern often resembles the weapon or agent which caused it. Ref: The Essentials of Forensic Medicine and Toxicology by K S Narayan Reddy, 27th edition, Page 216.